All are true about Hepatoduodenal ligament except ?
1. The hepatoduodenal ligament is part of the greater omentum
2. It extends between the porta hepatis of the liver and the superior part of the duodenum
3. Contains portal triad
4. Manual compression of the hepatoduodenal ligament is known as the Pringle Maneuver

Correct answer: 1. The hepatoduodenal ligament is part of the greater omentum

Explanation: The hepatoduodenal ligament is the portion of the lesser omentum extending between the porta hepatis of the liver and the superior part of the duodenum. It contains Portal triad. Hepatic artery proper Portal vein Common bile duct Manual compression of the hepatoduodenal ligament is known as the Pringle Maneuver. Used to control bleeding from the liver. Reference: Chaurasia; 6th edition.